Fistula is most common in
1. Crohn's disease
2. Ulcerative colitis
3. Infective entero colitis
4. Coeliac sprue

Correct answer: 1. Crohn's disease

Explanation: Clinical features Fibrosing strictures, particularly of terminal ileum is common and requires surgical resection. Fistulas develop between loops of bowel and may also involve the urinary bladder, vagina, and abdominal or perianal skin. Perforations and peritoneal abscesses are common. TEXT BOOK O F ROBBINS BASIC PATHOLOGY NINTH EDITION PAGE.590